Post-operative vomiting is less and patient is able to ambulate soon with one of the following:
1. Ketamine
2. Enflurane
3. Propofol
4. Remifentanil

Correct answer: 3. Propofol

Explanation: Ans. C. PropofolPropofol is known to have strong antiemetic and antipruritic action. The onset of action is 15 secs and it last for around 15mins. It is first choice for day care patients.